Ribosome has which of the following enzymatic activity?
1. Peptidyl transferase
2. Peptidase
3. Aminoacyl tRNA synthetase
4. GTPase

Correct answer: 1. Peptidyl transferase

Explanation: The peptidyl transferase is an amino acyltransferase as well as the primary enzymatic function of the ribosome, which forms peptide bonds between adjacent amino acids using tRNAs during the translation process of protein biosynthesis. Peptidyl transferase activity is carried out by the ribosome. Peptidyl transferase activity is not mediated by any ribosomal proteins but by ribosomal RNA (rRNA), a ribozyme. Ribozymes are RNA molecules with catalytic activity. These generally involve trans esterification reactions, and most are concerned with RNA metabolism (splicing and endoribonuclease). Recently, a rRNA component has been implicated in hydrolyzing an aminoacyl ester and thus to play a central role in peptide bond function (peptidyl transferases). Ref: Weil P. (2011). Chapter 36. RNA Synthesis, Processing, & Modification. In D.A. Bender, K.M. Botham, P.A. Weil, P.J. Kennelly, R.K. Murray, V.W. Rodwell (Eds),Harper's Illustrated Biochemistry, 29e.